Vasoactive amines, involved in inflammation are -
1. Histamine
2. Renin
3. Angiotensin
4. All

Correct answer: 1. Histamine

Explanation: Ans. is 'a' i.e., HistamineVasoactive amines The two amines are especially important because they are present in preformed stores in cells and are therefore among the first mediators to be released during inflammation. These are ?1. HistamineIt is widely distributed in tissues, the richest source being the mast cells.It is also found in basophils and platelets.It is the principal mediator of immediate transient phase of increased permeability.It causesIncreased vascular permeabilityVasodilatationSmooth muscle contraction.2. Serotonine (5-hydroxy tryptamine)Serotonin is present in platelets and enterochromaffin cells.It is also present in mast cells of rodents, but not humans.Biological effects of serotonin are same as histamine..